Somatostatin secreted by which type of cells in pancreas ?
1. Gamma cells
2. Delta cells
3. Alpha cells
4. Beta cells

Correct answer: 2. Delta cells